Low serum haptoglobin in hemolysis is masked by-
1. Bile duct obstruction
2. Liver disease
3. Malnutrition
4. Pregnacy

Correct answer: 1. Bile duct obstruction

Explanation: Robbins basic pathology 8th edition, page no 424, Answer is option 1, bile duct obstruction Actually in hemolysis haptoglobin level decreases because some hemoglobin invariably escapes into the plasma. It is problably absent also. Haptoglobin is a circulating protein that binds and clears free hemoglobin. But the decreased level of haptoglobin is masked by the bile suct obstruction.